Fetal marker of growth restriction in USG is
1. AC
2. AFI
3. FL
4. BPD

Correct answer: 1. AC

Explanation: One of the most frequent perinatal complications in high‐risk pregnancy is fetal growth retardation. 
The aim of the study was the development of instrumental and laboratory criteria for the development of placental
insufficiency and IUGR on a preconception stage and in the early stages of gestation.